The action of the drug on the body is also called:
1. Pharmacokinetics
2. Pharmacodynamics
3. Pharmacogenetics
4. Pharmacotherapeutics

Correct answer: 2. Pharmacodynamics

Explanation: Ans: B (Pharmacodynamics) Ref: KDT, 6th ed, p.23 Pharmacodynamics is what the drug does to the body and pharmacokinetics is what the body does to the drug.